Clinical featues of sixth nerve palsy is -
1. Convergent squint
2. Divergent squint
3. Limitation in upward movement
4. Limitation in downward movement

Correct answer: 1. Convergent squint

Explanation: It is very simple. 6th nerve palsy causes paralysis of lateral rectus. There is weakness of abduction and the eye will be in convergent position.